Branches of coeliac axis are all except:
1. Splenic artery
2. Left gastric artery
3. Hepatic artery
4. Inferior phrenic artery

Correct answer: 4. Inferior phrenic artery

Explanation: D. i.e. Inferior Phrenic artery